"Five clean practices" under strategies for elimination of neonatal tetanus include all except:
1. Clean surface for delivery
2. Clean hand of the attendant
3. New blade for cutting the cord
4. Clean airway

Correct answer: 4. Clean airway

Explanation: Clean airway